Tamoxifen predisposes to :
1. Endometrial cancer
2. Ovarian cancer
3. Cervical cancer
4. Vaginal cancer

Correct answer: 1. Endometrial cancer

Explanation: In Breast Cancer although tamoxifen improves the survival period, it causes endometrial hyperplasia and cancer, and requires regular monitoring with ultrasound study of endometrium and endometrial biopsy. Reference: Shaw's Textbook of Gynaecology 16th edition page no 540